Quadrate lobe is known as:
1. Segment I
2. Segment II
3. Segment III
4. Segment IV

Correct answer: 4. Segment IV

Explanation: Quadrate lobe is an outdated term, and the preferred term is segment IV or left medial segment. Ref: Schwartz's principle of surgery 9th edition, chapter 31.